Intracorpuscular hemolytic anemia is seen in-
1. Autoimmune hemolytic anemia
2. TTP
3. Thalassemia
4. Infection

Correct answer: 3. Thalassemia

Explanation: Intracorpuscular hemolytic anemias are due to defective RBCs which undergo hemolysis causing anemia. Defect in RBCs may be inherited genetic defects like RBC memb disorders (hereditary spherocytosis , hereditary elliptocytosis).or enzyme deficiency (HMPshunt enzyme deficiency,glycolytic enzyme def).or Hb abnormalities like Thalassemia,sickle cell anemia. Ref : robbins and cotran pathologic basis of disease . Pg 630 table 14-1